The following bacteria doesn't produce any spores
1. Bacillus anthracis
2. Clostridium
3. Pseudomonas
4. Bacillus subtilis

Correct answer: 3. Pseudomonas

Explanation: Pseudomonas doesn't produce spores. Bacillus and Clostridium produce spores Ref: Textbook of Microbiology Baveja 5th ed Pg 21